'Phossy jaw' is seen in chronic poisoning with:
1. Datura
2. Phosphorus
3. Arsenic
4. Thallium

Correct answer: 2. Phosphorus

Explanation: Ans. Phosphorus